Successful fertilization is most likely to occur when the oocyte is in
1. The oviduct and has entered the second meiotic division
2. The uterus and has completed the first meiotic division
3. Metaphase of mitosis
4. The graafian follicle, which then enters the oviduct

Correct answer: 1. The oviduct and has entered the second meiotic division

Explanation: Fertilization occurs in the oviduct. The oocyte must have entered a second meiotic division to reduce the chromosome number of the oocyte to a haploid state (n) so that it may fuse with the sperm (also haploid), producing a 2n zygote.